Untrue about mivacurium
1. Metabolized by pseudocholinesterase
2. Releases histamine
3. Onset of action is early
4. Short duration of action

Correct answer: 3. Onset of action is early

Explanation: Onset of action is early Mivacurium is the non-depolarizing muscle relax, metabolized by pseudocholinesterase. The main advantage is its short duration of action (5-10 minutes) but onset is slow (2-3 minutes). Rerf: KD Tripathi 8th ed.